24 Year old AIDS pt. develops chronic abdominal pain, low grade fever, diarrhoea, malabsorption. Oocysts demonstrated in stool. Likely cause of his diarrhoea is -
1. E. histolytica
2. G lamblia
3. Microsporidia
4. Isospora belli

Correct answer: 4. Isospora belli